ALK translocation is a characteristic pathogenesis mechanism in?
1. GIST
2. AML
3. Adenocarcinoma of Lung
4. Hepatocellular carcinoma

Correct answer: 3. Adenocarcinoma of Lung

Explanation: ALK translocation triggers oncogenesis in Lung adenocarcinoma, Neuroblastoma, Anaplastic Large cell lymphoma.